Most common malignancy in children is-
1. Acute Myeloid Leukemia
2. Acute Lymphoblastic leukemia
3. Neuroblastoma
4. Medulloblastoma

Correct answer: 2. Acute Lymphoblastic leukemia

Explanation: Ans. is 'b' i.e., Acute Lymphoblastic leukemiao Repeat from previous sessions.